Pharmacodynamics includes:
1. Drug elimination
2. Drug excretion
3. Drug absorption
4. Mechanism of action

Correct answer: 4. Mechanism of action